An 'Antiseptic' means -
1. An agent applied on skin to eradicate pathogenic microbes
2. Used to sterile inanimate objects
3. An agent which kills only bacteria but not spores
4. Kills all microorganism

Correct answer: 1. An agent applied on skin to eradicate pathogenic microbes

Explanation: Antiseptic are chemical disinfectants that can be safely applied on the skin or mucous membrane and are used to prevent infection by inhibiting the growth of bacteria REF:Ananthanarayan & paniker's textbook of Microbiology 9th edition page no 28